A pregnant lady comes with itchy hand lesions as shown. Her husband also gets it. The best treatment that can be given is ?
1. Permathrin
2. Ivermectin
3. GBH
4. Benzyl benzoate

Correct answer: 1. Permathrin

Explanation: Permethrin 5% cream is considered the drug of choice for treating scabies in patients, including pregnant women. Other scabicides considered safe for use during pregnancy are sulfur 5-10% in petrolatum and crotamiton 10%. Sulfur is effective and it has a good safety profile; however, sulfur preparations can stain clothing and they are odorous. Crotamiton 10% cream is not absorbed percutaneously and is considered safe in pregnancy although it is not effective as other therapies. Ref : Thomas b Habif 6th Ed.